What is the reason for the thyroid storm after total thyroidectomy
1. Due to rough handling during surgery
2. Due to inadequate preparation of the patient
3. Recurrent laryngeal nerve injury
4. Parathyroid damage

Correct answer: 2. Due to inadequate preparation of the patient

Explanation: It is a condition of hyperthyroidism accompanied by fever, CNS agitation or depression, Cardiovascular dysfunction that may be precipitated by infection, surgery or trauma and occasionally by amiadarone administration It is common in inadequately prepared patients for surgery accompanied by excess thyroid hormone release Ref: Surgery sizer, 3rd edition Pgno: 229